Side effects of cyclosporine are all, EXCEPT :
1. Nephrotoxicity
2. Bone marrow suppression
3. Hypertension
4. Hirsutism

Correct answer: 2. Bone marrow suppression